All are endopeptidases except
1. Trypsin
2. Chymotrypsin
3. Elastase
4. Carboxy peptidases

Correct answer: 4. Carboxy peptidases

Explanation: Pancreatic proteases or proteolytic enzymes include 3 endopeptidases( trypsin,chymotrypsin & elastase) & 2 exopeptidases (carboxypeptidase A & B).Trypsin: It is the most powerful proteolytic enzyme of pancreatic juice. It is secreted in an inactive form of trypsinogen which is activated by the enzyme enterokinase secreted by duodenal mucosa. It hydrolyzes proteins into proteoses & polypeptides. Chymotrypsin: It is secreted in an inactive form chymotrypsinogen & is activated by trypsin. It hydrolyzes proteins into small polypeptides. Elastase: It is secreted as pro-elastase which is activated by trypsin. It digests elastin. Carboxypeptidase A & B are secreted as pro-carboxypeptidase A & B & are activated by enterokinase & trypsin.These cleave the carboxyTerminal amino acids that have aromatic & basic side chains respectively. Ref: Medical Physiology, Indu Khurana